Which of the following is a mydriatic drug with longest duration of action
1. Cyclopentolate
2. Tropicamide
3. Homatropine
4. Atropine

Correct answer: 4. Atropine

Explanation: Ref: HL Sharma 3rd ed: Pg no:152 Tropicamide is the shortest acting, so very commonly used for fundoscopy atropine is the longest acting - acts for 1 week not commonly used for adults, used only for children for fundoscopy - 1% atropine ointment